All of the following statements about Parvovirus B-19 are true except-
1. DNA virus
2. Crosses placenta in only <10% of cases
3. Can cause sever anemia
4. Can cause aplastic crises

Correct answer: 2. Crosses placenta in only <10% of cases

Explanation: parvo virus cause aplastic&severe anemia.it is a sdDNA virus REF:ANATHANARAYANAN MICROBIOLOGY NINTH EDITION PAGE.554